The shape of RBC is biconcave due to?
1. Ankyrin
2. Spectrin
3. Band protein
4. Glycophorin-C

Correct answer: 2. Spectrin

Explanation: Membrane proteins of RBC

There are following membrane proteins of RBC:

(A) Integral proteins

These are embedded in membrane via hydrophobic interactions with lipids
Integral proteins are:

(1) Band-3: It has two functions:

Anionic transport: Exchange bicarbonate for chloride
Structural: Linkage of the lipid bilayer to underlying membrane skeleton and important for prevention of surface loss.

(2) Glycophorins: Imparts a negative charge to the cell, reducing interaction with endothelium and other cells.
(3) Aquaporin 1: These selective pores for water transport allow RBC to remain in osmotic equilibrium with ECF.
I) Peripheral membrane proteins

These are located on the cytoplasmic surface of the lipid bilayer and constitute membrane cytoskeleton.
These are anchored via integral proteins
These are responsible for elastibility and maintenance of RBC shape & stability. Important peripheral proteins are:


Spectrin: It is the chief protein component and is responsible for the biconcave shape of RBC.
Actin: Spectrin tail is associated with actin filament.
Protein 4.1: Stabilizes actin-spectrin interactions.
Adducin: Stabilizes actin-spectrin interactions.
Ankyrin: Interacts with band 3 and spectrin to achieve linkage between bilayer and skeleton. It is augmented by protein 4.2.